The precartilagenous analog to bone arises from?
1. Ectoderm
2. Endoderm
3. Mesenchyme
4. Mesoderm

Correct answer: 3. Mesenchyme

Explanation: There are two major modes of bone formation, or osteogenesis, and both involve the transformation of a preexisting mesenchymal tissue into bone tissue. The direct conversion of mesenchymal tissue into bone is called intramembranous ossification. This process occurs primarily in the bones of the skull. In other cases, the mesenchymal cells differentiate into cartilage, and this cartilage is later replaced by bone. The process by which a cartilage intermediate is formed and replaced by bone cells is called endochondral ossification Ref:Inderber singh Embryology.